Enteroinsular axis is mediated through:
1. Glucagon
2. GLP-1
3. VIP
4. Nitric oxide

Correct answer: 2. GLP-1

Explanation: Glucagon is produced by the alpha cells of the pancreass. The same gene for glucagon also code for glucogagon like peptide - GLP 1 and GLP 2. GLP 1 1. Stimulates insulin secretion 2. Augments insulin releasing effects of glucose This effect is responsible for enteroinsular axis ALSO NOTE: GLP 1 analog: Stimulates insulin secretion and augments insulin releasing effects of glucose. Ref: Sleisenger and Fordtran's, Edition-9, Page-7